Which is the best investigation for metastatic gastrinoma?
1. Selective arterial secretin injection
2. Octreoscan
3. BAO/MAO ratio
4. Ultrasound

Correct answer: 2. Octreoscan

Explanation: In case of gastrinoma showing metastasis the diagnostic sensitivity of octreoscan is 80-100%. In contrast in primary gastrinoma, Endoscopic ultrasound shows a sensitivity of 80-100% versus octreoscan which shows a sensitivity of 67-86%.